"Nucleus ambiguus" is present at
1. Base of pons
2. Midbrain, at level of superior colliculus
3. Midbrain, at level of inferior colliculus
4. Lateral medulla

Correct answer: 4. Lateral medulla

Explanation: The nucleus ambiguus is found in the lateral medulla; it gives rise to the SVE (Special visceral efferent fibers ) components of cranial nerves IX and X. fig:- crossection at the level of medulla(upper part)